Babu is brought to the emergency as a case of road traffic accident. He is hypotensive. Most likely ruptured organ is -
1. Spleen
2. Mesentry
3. Kidney
4. Rectum

Correct answer: 1. Spleen